Bruise in the following areas do NOT show typical colour changes:
1. Ear lobes
2. Tongue
3. Conjunctiva
4. Genitalia

Correct answer: 3. Conjunctiva

Explanation: Ans. C i.e. Conjunctiva